Aspiration of sperms from testes is done in
1. TESA
2. MESA
3. ZIFT
4. GIFT

Correct answer: 1. TESA

Explanation: TESA (Testicular sperm aspiration)- It is a method of obtaining sperm for ICSI (Intracytoplasmic sperm injection).
MESA (Microsurgical epididymal sperm aspiration) it is another method of sperm collection from the epididymis.